Gluten free diet is beneficial in:
1. Psoriasis
2. Exfoliatrive dermatitis
3. Dermatitis herpetiformis
4. Pemphigoid

Correct answer: 3. Dermatitis herpetiformis

Explanation: Ans is 'c' i.e, Dermatitis herpetiformis